Which of the following is not expected in a case of Microcytic Hypochromic anemia
1. Reduced serum Iron
2. Reduced total RBC distribution width
3. Normal Ferritin levels
4. Increased TIBC

Correct answer: 2. Reduced total RBC distribution width

Explanation: Ans. is 'b' i.e., Reduced total RBC distribution width